Apolipoprotein A-I (Apo A-I) is found in which of the following lipid components?
1. LDL
2. HDL
3. VLDL
4. Chylomicron

Correct answer: 2. HDL

Explanation: About Apo A Apo A-I is important component of HDL. ApoA is the activator of LCAT which is important enzyme for reverse cholesterol transport, converting cholesterol to cholesterol ester. Intestinal cells produce small qualntities of Apo A Apo A-I is a ligand for HDL receptor Apo A-I is anti-aherogenic. Ref: Textbook of Biochemistry for Medical Students by D.M. Vasudevan, 6th Edition, Page: 152